Arrhythmias refractory to the treatment of lignocaine can be treated by:
1. Sotalol
2. Diltiazem
3. Amiodarone
4. Quinidine

Correct answer: 3. Amiodarone